Most common site for gastrinoma
1. Duodenum
2. Pylorus
3. Antrum
4. Colon

Correct answer: 1. Duodenum

Explanation: Majority of gastrinomas occur in the wall of the duodenum. may be benign or malignant. Gastrinomas are associated with peptic ulcers at usual sites such as the stomach, first and second part of the duodenum, or sometimes at unusual sites such as in the oesophagus and jejunum. About one-third of patients have multiple endocrine neoplasia--multiple adenomas of the islet cells, pituitary, adrenal and parathyroid glands. TEXTBOOK OF PATHOLOGY 6TH EDITION HARSH MOHAN PAGE NO:829 IMAGE REF: